RNA which contains codon for speicific amino acid ?
1. tRNA
2. rRNA
3. mRNA
4. None

Correct answer: 3. mRNA

Explanation: Ans. is 'c' i.e., m RNA The m RNA carries genetic information in the form of codons. Codons are a group of three adjacent nucleotides that code for the amino acids of protein. Each mRNA molecule is a transcript of antisense or template strand of a particular gene. Its nucleotide sequence is complementary to that of antisense or template strand of the gene, i.e. adenine for thyamine, guanine for cytosine, uracil for adenine (as RNA does not contain thymine) and cytosine for guanine. For example, if antisense strand of DNA has a gene with sequence 5'-TTACGTAC-3', its complementary RNA transcript will be 5 '-GUACGUAA-3'.